True statement regarding direct hernia
1. MC inguinal hernia in women is direct
2. Direct hernia is medial to Inferior epigastric artery
3. Repair of the transversalis fascia and the internal ring
4. Descends downwards and inwards towards scrotum

Correct answer: 2. Direct hernia is medial to Inferior epigastric artery

Explanation: Ans. (b) Direct Hernia is medial to Inferior epigastric artery* During surgery- hernia arising medial to Inferior epigastric artery is Direct hernia, arising laterally is Indirect hernia* MC inguinal hernia in females = Indirect (Direct hernia never occurs in females)* It bulges as hemispherical swelling (Indirect hernia descends in a pyriform shape into scrotum)* Repair of Fascia transversalis and deep ring done for Indirect Hernia.